Etiology of Epidermolysis bullosa is ?
1. Genetic
2. Infections
3. Senile
4. Malignant

Correct answer: 1. Genetic

Explanation: A. i.e. Genetic